Which of the following is not a feature of Nicotine withdrawal?
1. Depression
2. Headache
3. Tachycardia
4. Anxiety

Correct answer: 3. Tachycardia

Explanation: In nicotine withdrawal there is bradycardia not tachycardia. The most common symptoms of nicotine withdrawal are impaired concentration, irritability, tension, disturbed sleep or drowsiness, intense longing for a cigarette/nicotine, headaches, and an increased appetite leading to weight gain.